Patient presents to casualty with sudden onset LMN facial palsy on right side and inability to abduct right eye. There is left sided hemiparesis. Whats your diagnosis?
1. Fovilles syndrome
2. Milard gubler syndrome
3. Ramsay hunt syndrome
4. Tolosa hunt syndrome

Correct answer: 2. Milard gubler syndrome

Explanation: Triad of ipsilateral 6th nerve palsy, ipsilateral 7th nerve palsy and contralateral hemiparesis constitutes milard gubler syndrome.